Specific marker for synovial sarcoma is:
1. t (x;18)
2. t (9;22)
3. t (11;14)
4. t (14;18)

Correct answer: 1. t (x;18)

Explanation: Most synovial sarcomas show a characteristic chromosomal translocation t (x; 18). Ref: Robbin's Illustrated Pathology, 7th Edition, Page 1323; Harrison's Principles of Internal Medicine, 16th Edition, Page 563